Pathological changes of diabetic nephropathy are all except:
1. Fibrin caps and capsular drops
2. Kimmelstein-Wilson lesion
3. Basement membrane thickening
4. Focal glomerular sclerosis

Correct answer: 4. Focal glomerular sclerosis

Explanation: Diabetes may cause nodular and diffuse glomerulosclerosis but not focal glomerular sclerosis. Diabetes Mellitus - |ed glucose - non enzymatic glycosylation - Advanced glycation end products - efferent arteriole - |ed filtration injury - Nodular glomerulosclerosis ( most characteristic) : Kimmelstein Wilson lesion - diffused glomerulosclerosis ( |GFR )